Which of the following is a not member of HACEK group-
1. Hemophilus aphrophilus
2. Acinetobacter
3. Cardiobacterium
4. Kingella

Correct answer: 2. Acinetobacter

Explanation: The HACEK groupinclude -Hemophilus parainfluenzae, Hemophilus aphrophilus, Actinobacillus (now Aggregatibacter) actinomycecomitans, Cardiobacterium hominis, Eikinella corrodens and Kingella kingae. These are gram negative pleomorphic bacilli which are capnophilic and have fastidious growth requirements. They do not grow on MacConkey and on blood agar, their colonies appear in 2-3 days. They are normal commensals of the oral cavity which can cause endocarditis following dental manipulations.